In a patient presenting with headache and eye complaints, Examination of rigt eye reveals: Right eye superotemporal quadrotpsia. Left eye reveals : Left eye superotemporal quadrotopsia Left eye reveals : Left eye controcecal scotoma. Likely site of lesion is:
1. Left optic nerve + chiasma
2. Left optic tract + chiasma
3. Right optic nerve + chiasma
4. Right optic tract + chiasma

Correct answer: 1. Left optic nerve + chiasma

Explanation: A i.e. Left optic nerve + chiasma